C02 is carried in blood mainly by:
1. Dissolved form
2. Carboxy-Hb
3. Bicarbonate form
4. carbamino-compounds

Correct answer: 3. Bicarbonate form

Explanation: C02 transport occurs in 3 forms : 1. Bicarbonate form (70%) 2. Carbamino compounds (20-25%) 3. Free/dissolved in plasma (5-7%)